The most important structure involved in development of inferior vena cava is ?
1. Supracardinal vein & Subcardinal vein
2. Umbilical vein
3. Anterior cardinal vein
4. Posterior cardinal vein

Correct answer: 1. Supracardinal vein & Subcardinal vein

Explanation: A i.e. Supracardinalvein & subcardinal vein